Mineral oils are used in mosquito control measure as -
1. A personal protection method
2. Larvicide
3. Adulticide
4. Space spray

Correct answer: 2. Larvicide

Explanation: Mineral oils are used as chemical control against mosquito larvae. The mineral oil application to water is the oldest method to control mosquito. oils used are diesel oil, fuel oil, kerosene oil, and crude oils. Special mosquito larvicidal oils are also available. Oil kills larvae and pupae within a short time after application. When applied on water oil spreads and forms a thin film, which cuts off the air supply to mosquito larvae and pupae. Since the life cycle of a mosquito is about 8 days, its customary to apply oil once in a week on all breeding places. Other anti-larval measures include source reduction, using Paris green, and synthetic insecticides. Biological control with larvivorous fishes like Gambusia and Lebister. Park's Textbook of Preventive and Social Medicine, 25th Edition, Pg 832